All of the following statements are true regarding poliovirus except -
1. It is transmitted by feco-oral route
2. Asymptomatic infections are common in children
3. There is a single serotype causing infection
4. Live attenuated vaccine produces herd immunity

Correct answer: 3. There is a single serotype causing infection

Explanation: Poliovirus strains are classified into 3 types-1,2 and 3. TYPE 1 most common. REF:ANANTHANARAYAN AND PANIKER'S TEXTBOOK OF MICROBIOLOGY 9TH EDITION PAGE NO:486